Which of the following statements regarding hypertensive crisis is false:
1. Hypertensive urgency is characterized by marked elevation of blood pressure and rapidly evolving end organ damage.
2. Hypertensive emergencies require immediate reduction of blood pressure within minutes
3. Hypertensive urgencies may be managed without extensive monitoring on an outpatient basis
4. None of the above

Correct answer: 1. Hypertensive urgency is characterized by marked elevation of blood pressure and rapidly evolving end organ damage.

Explanation: Answer is A (Hypertensive urgency is characterized by marked elevation of blood pressure and rapidly evolving end organ damage) Rapidly evolving end organ damage is a feature of hypertensive emergency and not hypertensive urgency. Hypertensive urgency is defined by a markedly elevated blood pressure usually in the same range as seen in hypertensive emergencies but without the rapid progression of target organ damage Hypertensive Crisis Hypertensive Emergencies Marked elevation of Blood pressure with rapidly evolving end organ damage. No fixed Blood pressure cut off values are defined but, in general the blood pressure values are as follows. Diastolic BP> 120: Systolic BP>220 Rapid /Immediate reduction of blood pressure is indicated in these patients Blood pressure should be controlled within hours (Preferably within 1 hours) Intensive monitoring in a critical care setting is mandatory Hypertensive urgencies Marked elevation of blood pressure without rapidly evolving end organ damage No fixed blood pressure cut off values are defined but in general the blood pressure values may approach the same range as seen in hypertensive emergencies Lowering of blood pressure is essential but immediate very rapid reduction is often not required Blood pressure should be controlled over a period of hours or days (Preferably within 24 hours) Intensive monitoring in a critical care setting is not always required If the patient is asymptomatic or clinically stable the patient can be managed as an outpatient with dose Mimi' up within days without an intensive monitoring setting usually with oval medications - Hurst 12110625